Neostigmine is used in the following except ?
1. Myasthenia gravis
2. Cobra bite
3. Atony of bladder
4. Glaucoma

Correct answer: 4. Glaucoma

Explanation: Ans. is 'd' i.e., Glaucoma